Coenzyme for phenylalanine hydroxylase is -
1. Tetrahydrofolate
2. Pyridoxal phosphate
3. S-adenosyl methionine
4. Tetrahydrobiopterin

Correct answer: 4. Tetrahydrobiopterin

Explanation: Ans. is 'd' i.e., Tetrahydrobiopterino Phenylalanine metabolism is initiated by its oxidation to tyrosine which then undergoes oxidative degradation.